R. seeberi grows in
1. SDA
2. HeLa cell line
3. Mac Neal's medium
4. Not cultivable

Correct answer: 4. Not cultivable

Explanation: Numerous attempts have been made for many decades to propagate R.seeberi, from either rhinosporidial tissue or from saprophytic sources, on inanimate as well as cell-containing media in vitro. Various types of culture media with nutritional additives have been used. There has been no report of successful in vitro culture and propagation in subculture. ** R.seeberi is no more considered a fungi "R.seeberi, particularly that it is not a classic fungus "but rather the first known human pathogen from the DRIPs clade, a novel clade of aquatic protistan parasites. (Mesomycetozoa) " Ref : Ananthanarayana textbook of Microbiology 9th edition Pgno : 603